All the following statements are TRUE regarding methyl alcohol poisoning except -
1. It is characterized by high anion gap acidosis
2. It causes ocular toxicity
3. It causes high osmolar gap
4. Concurrent ethanol ingestion worsens the clinical features

Correct answer: 4. Concurrent ethanol ingestion worsens the clinical features

Explanation: Concurrent ethanol ingestion will only improve the condition, as ethanol is the antidote for methanol poisoning. Ref Harrison 20th edition pg 776 Reference: Davidson's textbook of medicine, 23rd edition, page 137, table 7.9